Alpha particle has:
1. 1 proton, 2 neutrons
2. 1 proton, 1 neutron
3. 2 protons, 1 neutron
4. 2 protons, 2 neutrons

Correct answer: 4. 2 protons, 2 neutrons

Explanation: Ans. D: 2 protons, 2 neutrons Alpha particles are simple helium nuclei (i.e. consisting of 2 protons and 2 neutrons) Remember: Alpha rays: Most ionizing Gamma rays: Maximum penetration power Cesium-137, cobalt and radium emits predominantly: Gamma rays